Crescent formation is characteristic of the following glomerular disease:
1. Minimal change disease
2. Rapidly progressive glomerulonephritis
3. Focal and segmental glomerulonephritis
4. Rapidly non progressive glomerulonephritis

Correct answer: 2. Rapidly progressive glomerulonephritis

Explanation: Answer is B (Rapidly progressive glomerulonephritis): Crescents are produced by Proliferation of the parietal epithelial cells of Bowman's capsule Infiltration of monocytesQ and macrophages.